Sensory supply to external auditory meatus is by /
sensory nerve supply to external ear is by
1. Facial nerve
2. Vestibulococchlear nerve
3. Trigeminal nerve
4. Glossopharyngeal nerve

Correct answer: 3. Trigeminal nerve